Characteristic features of a lesion in the lateral part of the medulla include all except -
1. Ipsilateral Homer's syndrome
2. Contralateral loss of proprioception to the body and limbs
3. Nystagmus
4. Dysphagia

Correct answer: 2. Contralateral loss of proprioception to the body and limbs

Explanation: Ans. is 'b' i.e., Contralateral loss of proprioception to the body and limbs